A diabetic patient developed cellulitis due to staphylococcus aureus, which was found to be Methicillin resistant on the antibiotic will be appropriate except:
1. Vancomycin
2. Imipenem
3. Tecichoplanin
4. Linezoiid

Correct answer: 2. Imipenem

Explanation: Vancomycin, Teicoplanin and Linezolid are all active against most Methicillin-resistant Staphylococcus aureus (MRSA). Although some strains of MRSA are susceptible to Imipenem, most strains are not susceptible. Ref: British Society Guidelines for Antimicrobial Chemotherapy; Neonatal and Pediatric Pharmacology: Therapeutic Principles in Practice By Sumner J. Yaffe, Jacob V. Aranda, 2010, Page 436; Goodman and Gilman's The Pharmacological Basis of Therapeutics, 9th Edition, Page 710.